Amplifier host is pig for -
1. Japanese encephalitis
2. KFD
3. Yellow fever
4. West Nile fever

Correct answer: 1. Japanese encephalitis

Explanation: Among the animal host pig have been incriminated as the major vertebrae host for JE virus. REF. PARK'S TEXTBOOK OF PREVENTIVE AND SOCIAL MEDICAL 21ST EDITION. PAGE NO - 261